Vitreous hemorrhage produces ?
1. Sudden painless loss of vision
2. Sudden painful loss of vision
3. Gradual painless loss of vision
4. Gradual painful loss of vision

Correct answer: 1. Sudden painless loss of vision

Explanation: Ans. is 'a' i.e., Sudden painless loss of vision